Most common site of mandibular fracture is
1. Angle of mandible
2. Condylar process
3. Coronoid process
4. Ramus

Correct answer: 2. Condylar process

Explanation: Mandibular fractures are typically the result of trauma. This can include a fall onto the chin or a hit from the side. Rarely they may be due to osteonecrosis or tumors in the bone. The most common area of fracture is at the condyle (36%), body (21%), angle (20%) and symphysis (14%).